Q fever is caused by-
1. R Quintana
2. C. burnetii
3. R typhi
4. R akari

Correct answer: 2. C. burnetii

Explanation: Ans. is 'b' i.e., C. burnetii DiseaseAgentInsect vectorMammalian reservoir1. Typhus group a. Epidemic typhusR. prowazekiiLouseHumansb. Murine typhus (Endemic typhus)R. typhiFleaRodentsc. Scrub typhusR. tsutsugamushiMiteRodents2. Spotted fever group a. Indian tick typhusR.conoriiTickRodents, dogsb. Rocky mountain spotted feverR.rickettsiiTickRodents, dogsc. Rickettsial poxR. akariMiteMice3. Others a. Q feverC.burnetiiNilCattle, sheep, goats.b. Trench feverRocholimaca quintanaLouseHumans